Soft markers on ultrasonography are helpful in diagnosing?
1. Fetal age
2. Chromosomal anomalies
3. Fetal size
4. Site of pregnancy

Correct answer: 2. Chromosomal anomalies

Explanation: Ans. is'b'i.e., Chromosomal anomaliesAntenatal soft ultrasound markers are fetal sonographic findings that are generally not abnormalities as such but are indicative of an increased age adjusted risk of an underlying fetal aneuploidic or some non chromosomal abnormalities.